which anti epileptic on long term use causes PSEUDOLYMPHOMA ?
1. phenytoin
2. phenobarbitones
3. valproate
4. carbamizapine

Correct answer: 1. phenytoin

Explanation: anti epileptic drugs causing pseudolymphoma phenytoin (m/c) > phenobarbitone primidone ref : kd tripathi 8th ed